All of the following statements about atrial myxomas are true, except:
1. Most common site is left atrium
2. More common in females
3. Tumor plop in systole
4. Raynaud phenomenon

Correct answer: 3. Tumor plop in systole

Explanation: * Tumour plop sound is a low pitch sound heard in diastole when the tumour impacts against the opening mitral valve. * Myxomas- present with peripheral or pulmonary emboli or with constitutional signs and symptoms- fever, weight loss, cachexia, Raynaud's phenomenon, hypergammaglobulinemia, anemia, polycythemia, leukocytosis, elevated ESR, thrombocytopenia, and thrombocytosis. * It is more common in females.